All of the following are true about Ebola virus except?
1. Incubation period is 2-21 days
2. Belongs to flaviviridae
3. Bowl of spaghetti appearance seen
4. Investigation of choice is RT - PCR

Correct answer: 2. Belongs to flaviviridae

Explanation: Ebola virus belongs to Filoviridae.